A rigid reciprocal arm of a clasp may also act as:
1. Direct retainer
2. An auxiliary indirect retainer
3. Major connector
4. Minor connector

Correct answer: 2. An auxiliary indirect retainer